Indication of anti-D immunoglobulin is/are
1. Vaginal bleeding
2. ECV
3. Mid trimester abortion and After amniocentesis both
4. All

Correct answer: 4. All

Explanation: Ans. is a, b and c i.e. Vaginal bleeding; ECV; Mid trimester abortion; and After amniocentesis As explained in the previous question : Anti D prophylaxis should be given after all types of abortions (threatened, medical. MTP) molar pregnancy, ectopic pregnancy, delivery (+manual removal of placenta), procedures performed antenatally (Amniocentesis. Chorionic villous sampling. External cephalic version) and in cases of antepartum hemorrhage (Vaginal bleeding in this case).